Organism most likely to cause "fever of unknown origin" in a farmer who raises goats
1. Brucella melitensis
2. Clostridium novyi
3. Histoplasma capsulatum
4. Mycobacterium tuberculosis

Correct answer: 1. Brucella melitensis

Explanation: Human brucellosis is acquired from animals, directly or indirectly. Goats, sheep, cattle, buffalos, and swine are common sources. Most human infections in various parts of India are due to B.melitensis acquired from goats and sheep. Ref: Textbook of microbiology; Ananthanarayana and paniker's; 10th edition; Pg: 348